Juxtaglomerular apparatus consists of all of the following, EXCEPT:
1. JG cells
2. Macula densa
3. Lacis cells
4. Podocytes

Correct answer: 4. Podocytes

Explanation: The lacis cells, the JG cells, and the macula densa constitute the juxtaglomerular apparatus. Juxtaglomerular cells (JG cells) are epitheloid cells which are located in the media of the afferent arterioles as they enter the glomeruli. Agranular lacis cells are located in the junction between the afferent and efferent arterioles. The macula densa is in close proximity to the JG cells. Ref: (2012). Chapter 38. Regulation of Extracellular Fluid Composition & Volume. InBarrett K.E., Boitano S, Barman S.M., Brooks H.L. (Eds), Ganong's Review of Medical Physiology, 24e.